Measles virus is -
1. Paramyxovirus
2. Orthomyxovirus
3. Poxvirus
4. Picornavirus

Correct answer: 1. Paramyxovirus

Explanation: Measel cities include family paramyco viridae REF:ANATHANARAYANAN MICROBIOLOGY NINTH EDITION PAGE.506-512